All of the following cells are present in cerebellar cortex EXCEPT:
1. Granular cell
2. Purkinje cell
3. Golgi cell
4. Bipolar cell

Correct answer: 4. Bipolar cell

Explanation: Ans. (d) Bipolar cell* Cerebellar cortex contain 5 types of neuron cells. They are:1. Golgi cells2. Purkinje cells3. Basket cells4. Granule cells5. Stellate cells